All of the following are muscles of nose except -
1. Procerus
2. Compressor naris
3. Depressor septi
4. Angularis oris

Correct answer: 4. Angularis oris

Explanation: Ans. is 'd' i.e., Angularis oris Facial muscleso Muscles of facial expression are subcutaneous muscles and bring about different facial expressions. These muscles arei) Muscle of scalp:- Occipitofrontalis.ii) Muscles of auricle (around ear):- Auricularis anterior, superior and posterior.iii) Muscles of eyelids:- Orbicularis oculi, corrugator supercilii, levator palpebrae superioris.iv) Muscles of nose:- Procerus, compressor naris, dilator naris, depressor septi.v) Muscles around mouth:- Orbicularis oris, buccinator, levator labii superioris alaque nasi, zygomaticus major, levator labii superioris, levator anguli oris, zygomaticus minor, depressor anguli oris, depressor labii inferioris, metalis, risorius.vi) Muscles of neck:- Platysma.